Glomus tumour invading the vertical part of the carotid canal. It is
1. Type B
2. Type C1
3. Type C2
4. Type C3

Correct answer: 3. Type C2

Explanation: FISCH classification is used for glomus tumours based on the extension into surrounding anatomic structures. Type A tumour - Tumour limited to the middle ear cleft (glomus tympanicum) Type B tumour - Tumour limited to the tympanomastoid area with no infralabyrinthine compartment involvement Type C tumour - Tumour involving the infralabyrinthine compartment of the temporal bone and extending into the petrous apex; Type C1 tumour - Tumor with limited involvement of the vertical portion of the carotid canal; Type C2 tumour - Tumour invading the vertical portion of the carotid canal; Type C3 tumour - Tumour invasion of the horizontal portion of the carotid canal Type D1 tumour - Tumour with an intracranial extension less than 2 cm in diameter; Type D2 tumour - Tumour with an intracranial extension greater than 2 cm in diameter